Streptokinase causes increase in ?
1. Plasmin
2. Thrombin
3. Kallikrein
4. Angiotensin II

Correct answer: 1. Plasmin

Explanation: Ans. is 'a' i.e., Plasmin Streptokinase Fibrinolytic drug Obtained from group C streptococci Streptokinase is inactive as such. It combines with' circulating plasminogen molecules to form an activator complex, which then causes limited proteolysis of other plasminogen molecules to generate active enzyme plasmin.